The vital layer in a slow sand filter is ?
1. Sand bed
2. Under drainage
3. Zoological layer
4. Supernatant

Correct answer: 3. Zoological layer